The most definitive method of diagnosing pulmonary embolism is
1. Pulmonary ateriography
2. Radioisotope perfusion pulmonary scintigraphy
3. EKG
4. Venography

Correct answer: 1. Pulmonary ateriography

Explanation: Pulmonary arteriography is the most definitive method of diagnosing pulmonary embolism.Chest CT with contrast has virtually replaced invasive pulmonary angiography as a diagnostic test.A definitive diagnosis of PE depends on visualisation of an intraluminal filling defect in more than one projection.Secondary signs of PE include abrupt occlusion("cut-off") of vessels,segmental oligemia or avascularity,a prolonged arterial phase with slow filling,and tortuous,tapering peripheral vessels. Reference:Harrison's medicine-18th edition,page no:2174.